Barbiturates excretion in urine may be increased by :
1. Diuretics
2. Alkalinization
3. Acidification
4. Dialysis

Correct answer: 2. Alkalinization

Explanation: B i.e. Alkanization For facilitating elimination of drug in poisoning the - Urine is alkalinized in barbiturate & salicylate poisoningQ Urine is acidified in morphine & amphetamine poisoningQ Salicylates block uricosuric action of probenecid & sulfinpyrazoneQ & decrease tubular secretion of methotrexate Hemodialysis followed by forced alkaline diuresis is treatment of choice in barbiturate poisoning.Q Hemodialysis & diuretics are not effective in digitalis poisoningQ Kerosine oilQ, Organophosphate & Benzodiazepine poisoningQ